Cellular immunitty is induced by -
1. Nk-cells
2. Dendritic-cells
3. TH1-cells
4. TH2-cells

Correct answer: 3. TH1-cells

Explanation: TH1 cells, which produce cytokines interferon,gamma& interleukin-2, which activates macrophages & T-cells, promoting cell-mediated immunity, destruction of target cells & killing of intracellular pathogens Reff: Ananthanarayanan & Panikers textbook of microbiology 9th edition pg:135